Phlyctenular conjunctivitis is caused by -
1. Chlaymydia
2. Staphylococcus
3. Pneumococcus
4. Aspergillus

Correct answer: 2. Staphylococcus

Explanation: It is believed to be a delayed hypersensitivity (Type IV cell mediated) response to endogenous microbial proteins. Causative allergens are :- (i) Staphylococcus proteins (most common); (ii) Tuberculous proteins and (iii) Proteins of Moraxells axenfeld bacillus and certain parasistes. Reference : AK Khurana 7th edition page 85